Which of the following facial expressions indicate the rest position
1. Lips are even anteroposteriorly with slight contact.
2. Skin around the eyes and chin is relaxed.
3. Relaxation around the nostrils with unobstructed breathing.
4. All of the above

Correct answer: 4. All of the above

Explanation: Facial expression: 
The following indicates rest position:

Lips are even anteroposteriorly with slight contact.
Skin around the eyes and chin is relaxed.
Relaxation around the nostrils with unobstructed breathing.

With experience the dentist learns to recognize, these features depicting rest position and will make measurements accordingly.